For root resection the choice of therapy is
1. distort buccal root of upper first molar
2. Mesio buccal root of upper first molar
3. Palatal root of upper first molar
4. Both mesio buccal and distort buccal root

Correct answer: 1. distort buccal root of upper first molar